When asked about his impending heart operation, patient recollects the entire procedures in detail. He seems well versed & on asking, says that he has been reading everything he can about it. He discusses the details for hours, but shows no emotional reaction to the operation. The defense mechanism most likely used here?
1. Rationalization
2. Repression
3. Regression
4. Intellectualization

Correct answer: 4. Intellectualization

Explanation: Ans. D. IntellectualizationRather than responding with the expected level of apprehension and anxiety, the patient spends his time reading and cognitive activity. Anxiety is replaced by cognitive activity.